What is the dosage of a single dose of Albendazole prescribed to a child of 10yrs for treatment of roundworm infestation?
1. 200 mg
2. 400 mg
3. 1 g
4. 2 g

Correct answer: 2. 400 mg

Explanation: Single dose Albendazole is used to control infection caused by soil transmitted Heliminthic infection. Its a effective therapy for infections with GI nematodes including Ascaris Lumbricoides, Trichuris trichiura and hookworms. Two different dosages are used in two different age groups: 200mg - used in childrens less than 2yrs of age. 400mg - used in childrens above 2yrs of age and adults. Its a effective therapy for infections with GI nematodes including Ascaris lumbricoides, Trichuris trichiura and hookworms. A 3-day regime of Albendazole outperforms single-dose treatments against hookworm and T. trichiura infections Albendazole is the drug of choice for chemotherapy of Cystic Hydatid disease due to Echinococcus granulosus. Albendazole also is the preferred treatment of Neurocysticercosis caused by larval forms of Taenia solium. Albendazole has been combined with DEC, ivermectin or DEC + ivermectin in programs directed toward controlling Lymphatic filariasis (update)